About rectal route true is ?
1. Used for irritant and unpleasant drugs
2. Cannot be used in unconscious patient
3. There is predictable absorption of drug
4. Diazepam cannot be given rectal route of administration

Correct answer: 1. Used for irritant and unpleasant drugs

Explanation: Ans. is 'a' i.e., Used for irritant and unpleasant drugs Rectal route of administration It is a route of systemic drug delivery. Irritant or unpleasant drugs can be put into the rectum as suppositories or retention enemas. Can be used in a patient with recurrent vomiting and in unconscious patient. Absorption of drug is slower, irregular and unpredictable. Drug absorbed into the external hemorrhoidal vein (50%) bypasses the liver but not that absorbed into the internal hemorrhoidal vein. Diazepam, indomethacin, ergotamine and paracetamol can be used rectal route of administration.